All are true regarding tuberous sclerosis except
1. Autosomal dominant sporadic transmission
2. Vogt triad of epiloia
3. Cafe au lait macules exclude the diagnosis
4. Fibrous facial plaque

Correct answer: 3. Cafe au lait macules exclude the diagnosis

Explanation: C i.e. Cafe au lait macules exclude the diagnosis. Tuberous sclerosis is autosomal dominant disorderQ presenting with classical Vogt's triad of epilepsy, low intelligence/intellectual disability/ delayed mile stones and adenoma sebaceum (arjgiofibroma of face)Q and ashleaf (stippled or Confetti) hypomelanotic offwhite macules mostly on trunk & buttockQ. (Acronym-Epiloia)